Which of the following conditions leads to tissue hypoxia without alteration of oxygen content of blood?
1. CP poisoning
2. Met Hb
3. Cyanide poisoning
4. Respiratory acidosis

Correct answer: 3. Cyanide poisoning

Explanation: Hypoxia due to inhibition of tissue oxidative processes is most commonly the result of cyanide poisoning. Cyanide inhibits cytochrome oxidase and possibly other enzymes. Methylene blue or nitrites are used to treat cyanide poisoning. They act by forming methemoglobin, which then reacts with cyanide to form cyanmethemoglobin, a nontoxic compound. The extent of treatment with these compounds is, of course, limited by the amount of methemoglobin that can be safely formed. Hyperbaric oxygenation may also be useful.Ref: Ganong's Review of Medical Physiology Twenty-Third Edition Page no: 621